Which of the following type of joint is found in the small joints of the vertebrae?
1. Hinge joint
2. Saddle joint
3. Gliding joint
4. Condyloid joint

Correct answer: 3. Gliding joint

Explanation: Plane joint or gliding joint allows gliding movements of the plane joint surfaces and is found in the small joints of the vertebrae.Hinge joint: In this type of joint a cylindrical bone end is applied to a gutterlike depression in a hollow skeletal cylinder. Because of its shape this type of joint have only one axis of movement and two main movements.Saddle joint: It consist of two concave curved surfaces with two main axes of movement that are perpendicular to each other and allow four main movements. Condyloid joint: It has an elliptical head fitted into a convex and concave socket. They have two main axes perpendicular to each other and allow four main movements.Ref: The Human Body: An Introduction to Structure and Function By Adolf Faller page 122.